Sex ratio is
1. 1 male per 1000 females
2. 1000 females for 1000 males
3. Number of female for 1000 males
4. 1000 females per 100000 males

Correct answer: 3. Number of female for 1000 males

Explanation: Sex ratio is defined as the number of females per 1000 males. It is one of the basic demographic characteristic of a population. Reference : Park's textbook of preventive and social medicine, 23rd edition, pg no:482